which is the antipsychotic which selectively acts on the mesolimbic pathway and does not inhibit dopamin in mesocortical pathaway
1. aripiprazole
2. haloperidol
3. flupenthixol
4. pimozide

Correct answer: 1. aripiprazole

Explanation: ARIPIPRAZOLE * Partial agonist action * Selectively blocks dopamine in mesolimibic pathway, hence improves positive symptoms without worsening negative symptoms * Used in risperidone induced hyoperprolactinemia Ref. kaplon and sadock, synopsis of psychiatry, 11 th edition, pg no. 925